Eye donation Fortnight is organized from :-
1. 26th August to 9th September
2. 25th August to 8th September
3. 24th August to 7th September
4. None of these

Correct answer: 2. 25th August to 8th September

Explanation: The National Eye Donation Fortnight is observed every year from 25th August to 8th September. It is a campaign which aims to create mass public awareness about the importance of eye donation and to motivate people to pledge their eyes for donation after death.